Steeple sign seen on posteroanterior view of neck in a child with stridor is indicative of:
1. Acute epiglottitis
2. Acute laryngotracheobronchitis
3. Laryngeal papillomatosis
4. Bilateral abductor paralysis

Correct answer: 2. Acute laryngotracheobronchitis

Explanation: Steeple sign indicates narrowing of the airway in the subglottic area. It is typically seen in acute laryngotracheobronchitis in children.Thumb sign is typically seen in acute epiglottitis due to swollen epiglottis. It is better appreciated in lateral view of neck.Steeple sign (like a church tower) is seen in laryngotracheobronchitis (croup) in PA view of neck. Note the air shadow (arrow).